All except one are each feature of acute pericarditis
1. Concave ST elevation
2. PR segment elevation
3. J point elevation
4. Absent of reciprocal ST depression

Correct answer: 2. PR segment elevation

Explanation: Acute pericarditis is characterised by PR segment depression